Major contributor to plasma osmolarity is:
1. Glucose
2. Plasma proteins
3. Urea
4. Sodium

Correct answer: 4. Sodium

Explanation: Urea = 2.14 Kh BUN BUN is the Blood Urea Nitrogen